Neonatal alloimmune thrombocytopenia is caused by
1. B19 parvovirus  infection
2. Maternal - fetal platelet antigen disparity
3. CMV infection
4. Sepsis

Correct answer: 2. Maternal - fetal platelet antigen disparity

Explanation: Alloimmune thrombocytopenia is caused by maternal fetal platelet antigen disparity.